Normal value of fetal scalp pH is?
1. 6.9
2. 7
3. 7.1
4. 7.3

Correct answer: 4. 7.3

Explanation: ANSWER: (D) 7.3REF: COGT 10th ed table 8-7AVERAGE "NORMAL" FETAL SCALP AND CORD ACID-BASE VALUES Before LaborSecond Stage of LaborScalp pH7.377.3CO2 pressure (mm Hg)3843Bicarbonate (mmol/L)2121Base excess (mmol/L)-3-5 Umbilical VeinUmbilical ArteryCord pH7.327.26PO238.917.7PCO237.140Base deficit6.86.7